Neuroendocrine glands means:
1. Chemical acting at the synapse
2. Those acting at peripheral nervous system
3. Substance is released into the blood from the nerve
4. Substance act on the cells that release it.

Correct answer: 3. Substance is released into the blood from the nerve

Explanation: Ans: c (Substance is released into the blood..) Ref: Ganong, 22nd ed, p. 242Neuroendocrine glands are those glands in which substance is released directly from nerve into blood. Oxytocin and Vasopressin are typical neural hormones i.e. hormones secreted directly from nerve to blood circulation.In most mammals hormones secreted by posterior pituitary gland are arginine vasopressin(AVP) and oxytocin.Hormones of the posterior pituitary gland are synthesized in the cell bodies of the magnocellular neurons in the supraoptic and paraventricular nuclei. It is transported down the axons of these neurons to their endings in the posterior lobe, where they are secreted in response to electrical activity in the endings.The granules in the neurons which secrete vasopressin and oxytocin have a characteristic neurophysin associated with them. Neurophysin I associated with oxytocin. Neurophysin II associated with vasopressin.The precursor molecules are synthesized in the ribosomes of the cell bodies of the neurons. The leader sequence of the precursor molecules are removed in endoplasmic reticulum are packaged in to secretory granules in the golgi apparatus and are transported down the axons by the axoplasmic flow to the ending in posterior pituitary.Secretory granules associated with oxytocin and vasopressin are called Herring bodies.